All of the .following are, true about multiple myeloma except -
1. Osteolytic bone disease
2. t (18-14) translocation
3. Light chain proliferation
4. Bence-Jones proteins in urine

Correct answer: 2. t (18-14) translocation